The purines salvage pathway is for:
1. Hypoxanthine & Xanthine
2. Hypoxanthine & Thymine
3. Adenine & Guanine
4. Xanthine & Guanine

Correct answer: 3. Adenine & Guanine

Explanation: The purines salvage pathway is for Adenine Guanine Hypoxanthine Adenosine is the only purine nucleoside which can be salvaged i.e. Adenosine gets converted to AMP by Adenosine Kinase.